Fatty acid synthase complex result in formation of
1. 14 carbon chain
2. 16 carbon chain
3. 18 carbon chain
4. 20 carbon chain

Correct answer: 2. 16 carbon chain

Explanation: Ref: DM Vasudevan - Textbook of Biochemistry, 6th edition, page no: 136-138